Which of these is a branch of inferior mesenteric artery ?
1. Left colic artery
2. Right colic artery
3. Ileocolic artery
4. Middle colic artery

Correct answer: 1. Left colic artery

Explanation: the inferior mesenteric artery, often abbreviated as IMA, is the third main branch of the abdominal aorta and arises at the level of L3, supplying the large intestine from the left colic flexure to the upper part of the rectum, which includes the descending colon, the sigmoid colon, and part of the rectum. Proximally, its territory of distribution overlaps with the middle colic artery, and therefore the superior mesenteric artery. The SMA and IMA anastomose the marginal artery of the colon. The territory of distribution of the IMA is more or less equivalent to the embryonic hindgut. ref - eahslab.com